Abductor of vocal cord is:
1. Posterior cricoarytenoid
2. Lateral cricoarytenoid
3. Cricothyroid
4. Thyroarytenoid

Correct answer: 1. Posterior cricoarytenoid

Explanation: The Posterior cricoarytenoid is the only abductor of the true vocal cord.